Bile acid resins are used as anti-dyslipidemic drugs. How much decrease in LDL cholesterol and how much increase in HDL cholesterol can occur with their use?
1. 5-10% decrease in LDL-C and 3-5% increase in HDL-C
2. 15-25% decrease in LDL-C and 3-5% increase in HDL-C
3. 3-5% decrease in LDL-C and 15-25% increase in HDL-C
4. 25-35% decrease in LDL-C and 5-10% increase in HDL-C

Correct answer: 2. 15-25% decrease in LDL-C and 3-5% increase in HDL-C

Explanation: Mostly anti dyslipidemic agents decreases LDL about 15% but statins are the important one since they decrease LDL up to 50% since they are maximum LDL lowering agents whereas HDL is increased up to 30% by Fibrates whereas others increase by 3-5%. The only agent which significantly decreases Triglycerides are Fibrates. So 2nd option is the better option.